Which of the following chelating agent is the degradation product of Penicillin ?
1. EDTA
2. Dimercaprol
3. Penicillamine
4. Desferrioxamine

Correct answer: 3. Penicillamine